Which of the following virus is associated with Kaposi sarcoma?
1. Human papillomaviruses
2. Epstein-Barr virus
3. Merkel cell virus
4. Human herpesvirus 8

Correct answer: 4. Human herpesvirus 8

Explanation: Association of Viruses with Human Cancer Human papillomaviruses Genital tumors Squamous cell carcinoma Oropharyngeal carcinoma Epstein-Barr virus Nasopharyngeal carcinoma Burkitt lymphoma Hodgkin disease B-cell lymphoma Human herpesvirus 8 Kaposi sarcoma Hepatitis B virus Hepatocellular carcinoma Merkel cell virus Merkel cell carcinoma Human T-lymphotropic virus Adult T-cell leukemia Human immunodeficiency virus AIDS-related malignancies Hepatitis C virus Hepatocellular carcinoma Ref: Brooks G.F. (2013). Chapter 43. Human Cancer Viruses. In G.F. Brooks (Ed), Jawetz, Melnick, & Adelberg's Medical Microbiology, 26e.